The treatment of choice in recurrent venous thrombosis leading to pulmonary embolism despite intensive anticoagulation is:
1. Fibrinolysis treatment with tissue plasminogen activator
2. Pulmonary embolectomy
3. Pulmonary thromboendarterectomy
4. Inferior vena caval filters

Correct answer: 4. Inferior vena caval filters

Explanation: The two indications for insertion of an IVC filter are (1) active bleeding that precludes anticoagulation and (2) recurrent venous thrombosis despite intensive anticoagulation. Ref: Harrisons Principles of Internal Medicine, 18th Edition, Page 2176.